The most common type of pelvis associated with Direct occipitoposterior position is :
1. Gynaecoid
2. Platypelloid
3. Anthropoid
4. Android

Correct answer: 3. Anthropoid

Explanation: Anthropoid